Leflunomide is used in the treatment of:
1. Rheumatoid arthritis
2. Dermatomyositis
3. Bony metastasis
4. Postmenopausal osteoporosis

Correct answer: 1. Rheumatoid arthritis

Explanation: Ans. a (Rheumatoid arthritis). (Ref. Harrison's medicine 16th ed. 1966, 1975, 2313)Longstanding, stable, mild cases of rheumatoid arthritis can be treated with analgesics and non-steroidal anti- inflammatory drugs (NSAIDs). However, it is now believed that the disease is best treated aggressively in its early phase before erosions and extra-articular pathology can occur. The treatment is with DMARDs such as methotrexate, gold, sulphasalazine/Salazopyrin, leflunomide, penicillamine and ciclosporin. The most recent development are anti- TNF drugs such as etanercept and infliximab and monoclonal antibodies like rituximab and ibritumomab.LEFLUNOMIDE# It is a immunosuppressive agent# It is a relatively lymphocyte-specific pyrimidine antagonist.# It acts by inhibiting de novo Pyrimidine synthesis by inhibiting dihydroorotate dehydrogenase, resulting in an anti- proliferative effect on T cells.# It is effective in Rx of rheumatoid arthritis (and being tried in SLE).# Has its therapeutic effects similar to those of the DMARDs.- It is used as monotherapy in patients who have had adverse reactions to methotrexate or inadequate responses to it.# The major side effect is the associated increase in liver function enzymes.